Best marginal integrity is obtained with
1. GIC
2. Gold foil
3. Gold Inlay
4. Amalgam

Correct answer: 2. Gold foil